Investigation of choice for parotid fistula
1. CT Scan
2. X-ray
3. Starch iodine Test
4. Sialogram

Correct answer: 4. Sialogram

Explanation: Starch iodine Test is used for Frey's Syndrome.